In Patey procedure-
1. Removal of both pectoralis major & minor
2. Removal of pectoralis minor and preservation of pectoralis major
3. Pectoralis minor is divided
4. Both (major & minor) are preserved

Correct answer: 2. Removal of pectoralis minor and preservation of pectoralis major